Steroid induced cataract is
1. Posterior subscapular
2. Anterior subscapular
3. Nuclear cataract
4. Cupulliform cataract

Correct answer: 1. Posterior subscapular

Explanation: Steroid induced cataract occurs due to deposition of mucopolysacharides in the trabecular mesh work